Tree in bud sign on HRCT suggestive of
1. Sarcoidosis
2. Miliary TB
3. Endobronchial spread in TB
4. All the above

Correct answer: 3. Endobronchial spread in TB

Explanation: Tree in bud sign - Endobronchial spread in TB.